Which of the following is anti-inflammatory?
1. IL-1
2. IL-4
3. IL-6
4. TNF-Alpha

Correct answer: 2. IL-4

Explanation: The following are the anti-inflammatory cytokines: IL-10 TGF-b IL-4 IL-13 Pro-inflammatory cytokines IL-1 IL-6 TNF-Alpha Major anti-inflammatory cytokines include interleukin (IL)-1 receptor antagonist, IL-4, IL-6, IL-10, IL-11, and IL-13. Specific cytokine receptors for IL-1, tumor necrosis factor-alpha, and IL-18 also function as proinflammatory cytokine inhibitors ref basic pathology robbins 9th ed page 48